Anterior interventricular artery is a branch of -
1. Right coronary artery
2. Left coronary artery
3. Circumflex artery
4. Left anterior descending artery

Correct answer: 2. Left coronary artery

Explanation: Branches of Right Coronary artery are
-        Acute marginal
-        Posterior descending/interventricular
-        Infundibular
-        Nodal branch (in 65%)
-        Atrial, anterior and posterior ventricular
 Branches of Left coronary artery are
-        Anterior descending/interventricular
-        Circumflex
-        Left diagonal
-        Obtuse marginal
-        Left conus
-        Nodal (in 35%)
-        Atrial, anterior and posterior ventricular